Sacral ala is related to
1. Ureter
2. Parasympathetic ganglion
3. Umbilical artery
4. Iliolumbar artery

Correct answer: 4. Iliolumbar artery

Explanation: Ans. is 'd' i.e., Iliolumbar artery,Ala of sacrum is a large triangular surface either side of sacral base, continuous with iliac fossa (akin to adapted and joined transverse and costal processes elsewhere spine)The smooth medial part of the ala of sacrum is associated with the subsequent 4 structures from medial to lateral side: 1. Sympathetic chain. 2. Lumbosacral trunk. 3. Iliolumbar artery. 4. Obturator nerve.The ventral ramus of L5 nerve is really tight that it grooves the ala.The rough lateral part of the ala provides origin to iliacus muscle anteriorly and connection to the lumbosacral ligament posteriorly.